Most common cause of pathological jaundice on first day of life is:
1. Physiologic
2. Biliary atresia
3. Rh incompatibility
4. Sepsis

Correct answer: 3. Rh incompatibility

Explanation: Ans. C: Rh Incompatibility Hyperbilirubinemia in the first week of life is usually of the indirect variety. Causes of hyperbilirubinemia appearing within 24 hours of age: Hemolytic disease of newborn: Rh, ABO and minor group incompatibility Infections: intrauterine viral, bacterial; malaria G-6PD deficiency